Iron deficiency anemia is
1. Normochromic normocytic
2. Normocytic hyperchromic
3. Microcytic hypochromic
4. Macrocytic hypochromic

Correct answer: 3. Microcytic hypochromic

Explanation: Cell membrane matyration lags behind the nucleur maturation leading to microcytic appearance